A driver wearing seat belt applied brake suddenly to avoid accident. Most common organ injured in seat belt injury
1. Liver
2. Spleen
3. Mesentery
4. Abdominal aorta

Correct answer: 3. Mesentery

Explanation: Most common seat belt injury is mesentery